Biomedical concept of health is based on
1. Germ theory of disease
2. Absence of pain
3. Social and psychological factors
4. Equilibrium between man and environment

Correct answer: 1. Germ theory of disease

Explanation: The biomedical model of health focuses on purely biological factors and excludes psychological, environmental, and social influences. Ref: 25th edition, Park's Textbook of Preventive and Social Medicine, Page no. 13